Local anaesthesia which is most cardiotoxic is:
1. Procaine
2. Prilocaine
3. Bupivicaine
4. Ropivacaine

Correct answer: 3. Bupivicaine

Explanation: Bupivicaine